The most common agent associated with neonatal bacterial meningitis is:
1. Haemophilus influenzae type b
2. Neisseria meningitidis
3. Streptococcus pneumoniae
4. Streptococcus agalactiae

Correct answer: 4. Streptococcus agalactiae

Explanation: Streptococcus agalactiae is one of the most common agent associated with neonatal bacterial meningitis. Ref: Text Book of Microbilogy By Ananthanarayan, 6th Edition, Page 7195 ; Text Book of Pediatrics By Nelson, 17th Edition, Page 627